A 4-week old first-born, pre-term boy admitted to your dept. 3 days ago. Chief complaint was Vomiting which was projectile without bile in it, and follows each feeding, and the baby is hungry and eager to eat again after he vomits. The baby is dehydrated and has visible gastric peristaltic waves and a palpable "Olive sized" mass in the RUQ. What is the surgery of choice?
1. Duodenostomy
2. Billroth Type-I GJstomy
3. KASAI operation
4. Ramstedt's pyloromyotomy

Correct answer: 4. Ramstedt's pyloromyotomy

Explanation: CHPS: Congenital Hypertrophic Pyloric Stenosis IHPS: Infantile Hypertrophic Pyloric Stenosis Clinical features After breast feeding, breast milk accumulates in stomach. Obstruction due to hypertrophy at pylorus causes multiple episodes of non-bilious vomiting which can be projectile/non-projectile. IOC for diagnosis - Ultrasound Management Resuscitation by I.V fluids + correction of Dyselectrolytemia Fluid of choice- Normal Saline Treatment of choice after resuscitation